Not true regarding choledochal cyst -
1. Epigastric mass
2. Jaundice
3. Pain in abdomen
4. Cystojejunostomy is t/t of choice

Correct answer: 4. Cystojejunostomy is t/t of choice